A person who laughs one minute and cries the next without any clear stimulus is said to have -
1. Incongruent effect
2. Euphoria
3. Labile affect
4. Split personality

Correct answer: 3. Labile affect

Explanation: Lability (labile affect)

Sudden and short - lived changes in emotional response, i.e. emotional changes are very rapid, e.g. from sorrow to joy.